What property of the postsynaptic neuron would optimize the effectiveness of two closely spaced axodendritic synapses?
1. A high membrane resistance
2. A high dendritic cytoplasmic resistance
3. A small cross-sectional area
4. A small space constant

Correct answer: 1. A high membrane resistance

Explanation: Space constant increases with increasing membrane resistance or decreasing cytoplasmic resistance.Cytoplasmic resistance decreases as the cross-sectional area increases.Ref: Guyton; 13th edition; Chapter 46 Organization of the Nervous System, Basic Functions of Synapses, and Neurotransmitters